Indications for mucogingival surgery include the following except
1. A shallow vestibule
2. Insufficient attached gingiva
3. Infrabony pockets
4. A high frenum attachment

Correct answer: 3. Infrabony pockets